. Brocas aphasia is?
1. Fluent aphasia
2. Non fluent aphasia
3. Sensory aphasia
4. Conduction aphasia

Correct answer: 2. Non fluent aphasia

Explanation: *Speech output is sparse (nonfluent), slow, labored, interrupted by many word- finding pauses, and usually dysarthric; output may be reduced to a grunt or single word. Ref Harrison20th edition pg 2678